All are True about fracture healing except :
1. Nutrition affects healing
2. Stable fixation promotes healing
3. Compression at fracture site causes nonunion
4. Hormonal status may affect healing

Correct answer: 3. Compression at fracture site causes nonunion

Explanation: Compression at fracture site improves healing by inducing callus formation Compression enhances the rate of union in cancellous bone. In cortical bones, compression at the fracture site enhances rigidity of fixation, and possibly results in primary bone healing. Ref: Maheshwari 9th ed pg 12.